All are true about drug induced lupus, EXCEPT:
1. ANA positivity
2. Rarely involves kidneys
3. Anti ds- DNA will be positive
4. Resolves after discontinuation of drugs

Correct answer: 3. Anti ds- DNA will be positive

Explanation: DRUG INDUCED LUPUS: Symptoms are Fever, malaise, arthritis or intense arthralgias/myalgias, serositis, and/or rash. ANA will be positive Less female predilection than SLE, rarely involves kidneys or brain. It is rarely associated with anti-dsDNA Antibodies to histones positive Resolves over several weeks after discontinuation of the offending medication. Ref: Harrison, E-18, P-2737.